Which one of the following conditions is associated with Kawasaki's syndrome ?
1. Acute rheumatic fever
2. Pulmonary embolus
3. Coronary artery aneurysm
4. Systemic lupus erythematosus

Correct answer: 3. Coronary artery aneurysm

Explanation: Kawasaki disease is a vasculitis that mostly involves the coronary vessels. It presents as an acute systemic disorder, usually affecting children under 5 years. It occurs mainly in Japan and other Asian countries, such as China and Korea, but other ethnic groups may also be affected. Presentation is with fever, generalised rash, including palms and soles, inflamed oral mucosa and conjunctival injection resembling a viral exanthema. Cardiovascular complications include coronary arteritis, leading to myocardial infarction, transient coronary dilatation, myocarditis, pericarditis, peripheral vascular insufficiency and gangrene. Ref - Davidson 23e pg 1041-1042